True about cholera vibrios is -a) Can tolerate wide range of alkaline pHb) Non motile bacillic) Can't be grown in mediad) NaCl stimulates growth
1. b
2. ad
3. ac
4. ab

Correct answer: 2. ad